Most common cataract in a newborn is –
1. Zonular
2. Morgagnian
3. Anterior Polar
4. Posterior Polar

Correct answer: 1. Zonular

Explanation: A most common type of congenital cataract → punctate (blue dot) cataract.
A most common type of cataract which is clinically (visually) significant → zonular or lamellar cataract.